Anticancer drug causing lung fibrosis is:
1. Bleomycin
2. Cisplatin
3. Fulvestrant
4. Tamoxifen

Correct answer: 1. Bleomycin

Explanation: Bleomycin